Incomplete closure of ectodermal cleft is know to cause
1. Retinal detachment
2. Iridodonesis
3. Retinoblastoma
4. Coloboma of iris and retina

Correct answer: 4. Coloboma of iris and retina

Explanation: Inderbir Singh's Human embryology Tenth edition Pg 364 Failure of the choroidal fissure to obliterate completely may lead to deficiencies( coloboma)of various layers of eyeball including iris ciliary body and choroid